All of the followings are true about Safe and wholesome water, except:
1. It is free from color and odor
2. Free from pathogenic agents
3. It is unusable for domestic purpose
4. Free from harmful chemical pathogens.

Correct answer: 3. It is unusable for domestic purpose

Explanation: Ans. c. It is unusable for domestic purposeSAFE AND WHOLESOME WATERIt is defined as water that is:Free from pathogenic agentsPleasant to taste (free from color and odor).Free from harmful chemical pathogensUsable for domestic purpose